Prolonged administration of Sodium nitroprussside can cause poisoning of:
1. Cyanide
2. Methanol
3. Arsenic
4. Phenol

Correct answer: 1. Cyanide

Explanation: Cyanide